The tensile strength of wound after laparoscopic cholecystectomy in a 30 years old Woman depends upon
1. Replacement of type 3 collagen
2. Extensive cross linking of procollagen
3. Macrophage activity/invasion
4. Granulation tissue

Correct answer: 2. Extensive cross linking of procollagen

Explanation: "Covalent cross-linking of the lysine residues provides tensile strength. The extent and type of crosslinking vary from tissue to tissue. In tissues such as tendons, in which tensile strength is crucial, collagen cross-linking is extremely high."Sabiston 20th edition Pg: 139